All of the following are neurologic channelopathies except -
1. Hypokalemic periodic paralysis
2. Episodic ataxias
3. Familial hemiplegic migraine
4. Huntington's disease

Correct answer: 4. Huntington's disease